Which ion channel is affected in hypokalemic periodic paralysis?
1. K+
2. Na+
3. Cl-
4. Ca2+

Correct answer: 4. Ca2+

Explanation: Ans. (d) Ca2+Ref : Harrison's Internal medicine 18/e, chapter 387, table 387-10